A man feels his neighbor is following him and planning to kill him. This history is suggestive of :
1. Delusion of reference
2. Delusion of persecution
3. Delusion of infidelity
4. Delusion of guilt

Correct answer: 2. Delusion of persecution

Explanation: Delusion of persecution : Patient believes that someone is going to harm him, his family or his property. It is the most common type of delusion.